Most essential medicines are formulated as
1. No compound
2. Single compound
3. Multiple compound
4. Fixed dose combination

Correct answer: 2. Single compound

Explanation: Essential medicines are those that satisfy the priority health care needs of the population. Criteria for selection of essential medicines Essential medicines are selected with due regard to disease prevalence and public health relevance, evidence of clinical efficacy and safety, and comparative costs and cost-effectiveness. Refer 7/e p24